A 27 year old patient presented with left sided abdominal pain to the emergency room; 6 hours after an RTA. He is hemodynamically stable and FAST positive. A CECT (contrast enhanced CT) scan shows a contrast blush along with a grade III laceration. What will be the most appropriate management.
1. Splenectomy
2. Spenorrhaphy
3. Splenic artery embolization
4. Conservative management

Correct answer: 3. Splenic artery embolization

Explanation: The presence of blush on the CT scan is indicative of potential ongoing bleeding & increased likelihood of need for operative intervention. The presence of blush has also been used as a trigger for angiographc embolisation in hemodynamically stable patients to prevent ongoing or recurrent bleeding. Reference: Greenfield's Surgery- Scientific Principles and Practices, 5th edition, page no: 392.